In glutathione which amino acid is reducing agent
1. Glutamic acid
2. Glycine
3. Cysteine
4. Alanine

Correct answer: 3. Cysteine

Explanation: The sulphydryl (-SH) group of cysteine residue is the reactive portion of glutathione which can undergo oxidation and reduction.